Health promotion is which level of prevention
1. Primordial
2. Primary
3. Secondary
4. Tertiary

Correct answer: 2. Primary

Explanation: Primary Level - Health Promotion and Specific Protection.
Secondary Level - Early Diagnosis and Treatment.
Tertiary Level - Disability Limitation and Rehabilitation.